Subacute combined degeneration due to to Vit B12 deficiency mainly involves -a) Peripheral nerveb) Corticospinal tractc) Posterior column tractd) Spinothalamic tract
1. a
2. c
3. bc
4. ad

Correct answer: 3. bc